All of the following are true about Nasopharyngeal carcinoma, EXCEPT:
1. Bimodal age distribution
2. Nasopharyngectomy with Radical Neck dissection is the treatment of choice
3. IgA antibody to EBV is observed
4. Squammous cell carcinoma is the most common histological subtype

Correct answer: 2. Nasopharyngectomy with Radical Neck dissection is the treatment of choice

Explanation: Radiotherapy is the treatment of choice for nasopharyngeal carcinoma and not Nasopharyngectomy. Nasopharyngeal carcinoma has a bimodal age distribution with peak distribution in the second and sixth decades in life.